Surgical staging is required in which of the following sex cord stromal tumor
1. Granulosa cell tumor
2. Gynandroblastoma
3. Sertoli - leydig cell tumor (well differentiated)
4. Thecoma

Correct answer: 1. Granulosa cell tumor

Explanation: Surgical staging is required in

Granulosa cell tumor
Fibrosarcoma 
Sertoli - Leydig cell tumor (intermediate and poorly differentiated)
Sex-cord stromal tumor with annular tubules (independent of peutz-Jeghers syndrome)